Cobble stoning of colon is seen in :
1. Crohn's disease
2. Ulcerative colitis
3. Ischemic colitis
4. Amoebic colitis

Correct answer: 1. Crohn's disease

Explanation: Ans. (a) Crohn's diseaseRef: Harrison 19th ed. /1951-52CD is a transmural process. Endoscopically, aphthous or small superficial ulcerations characterize mild disease; in more active disease, stellate ulcerations fuse longitudinally and transversely to demarcate islands of mucosa that frequently are histologically normal.This "cobblestone" appearance is characteristic of CD, both endoscopically and by barium radiographyUlcerative ColitisCrohn DiseaseOnly colon involvedPanintestinalContinuous inflammation extending proximally from rectumSkip-lesions with intervening normal mucosaInflammation in mucosa and submucosa onlyTransmural inflammationNo granulomasNoncaseating granulomasPerinuclear ANCA (pANCA) positiveASCA positiveBleeding (common)Bleeding (uncommon)Fistulae (rare)Fistulae (common)